A nasal antrostomy following Caldwell Luc procedure is created
1. Above the inferior turbinate
2. Beneath the superior turbinate
3. Above the superior turbinate
4. Beneath the inferior turbinate

Correct answer: 4. Beneath the inferior turbinate